Severe bullous form of erythema multiformae, which is characterized by oral, ocular and genital lesion:
1. Stevens - Johnson syndrome.
2. Darries disease.
3. Reiter syndrome.
4. All of the above.

Correct answer: 1. Stevens - Johnson syndrome.